Point A and point B Manchester location are important for treatment of which cancer –
1. Cervix
2. Vagina
3. Ovary
4. Uterus

Correct answer: 1. Cervix

Explanation: Radiotherapy in Ca cervix

External beam via cobalt or linear accelerator and brachytherapy (e.g. radium, cobalt or cesium) are used in treatment of carcinoma cervix.
The radiation dose is calculated with respect to the amount of irradiation received at 2 theoretical points, A & B.